Retention of urine in a pregnant woman with retroverted uterus is most commonly seen at:
1. 8-10 weeks
2. 12-16 weeks
3. 20-24 weeks
4. 28-32 weeks

Correct answer: 2. 12-16 weeks

Explanation: Retroverted uterus is present in early weeks of pregnancy (in 15% cases).
Outcome of retroverted uterus in pregnancy:
Mostly spontaneous rectification occurs by 10–12 weeks. In rare cases fundus fails to clear the promontory of sacrum and becomes impacted in pelvis at 12-14 weeks and blocks the opening of internal urethral sphincter leading to acute retention of urine (at 12-14 weeks) Management is immediate catheterization.